Recurrent dislocation are common in :
1. Shoulder
2. Patella
3. Hip joint
4. Elbow joint

Correct answer: 1. Shoulder

Explanation: Ans. is 'a' shoulder [Ref. Maheshwari, 3/e, p76 (2/e, p75)Commonest joint in the human body to dislocate- shoulder*Commonest joint in body to undergo recurrent dislocation- shoulder*Commonest type of shoulder dislocation- Anterior*